Strawberry vagina is seen in :
1. Candida albicans
2. H. vaginalis
3. Syphilis
4. Trichomonas vaginalis

Correct answer: 4. Trichomonas vaginalis

Explanation: Trichomonas vaginalis Trichomonas vaginalis is : A sexually transmitted disease (STD) and most common vaginal infectiondeg. Caused by flagellated parasitedeg Trichomonas Vaginalisdeg. Raised pH (5.5 - 6.5) at the time of menstruation favors its ingress into the vagina.deg Can occur in pregnancy. It is associated with gonococcal infection.deg Diagnosis : Profuse frothydeg, thin, creamy or slightly greendeg in colour, malodorous discharge is characteristic of trichomonas infection. pH > 5deg Patients complain of pruritisdeg and urinary symptoms like dysuria, increased urinary frequency. 0/E : Multiple small punctate strawberry spots are seen on vaginal walls and portio vaginalis of cervix called as is Strawberry Vaginadeg or Colpitis Macularis (Angry looking vagina)deg. Lab diagnosis is by wet mountdeg : - Motile trichomonads are diagnostic.deg - TLC / DLC show increased leucocytes (in bacterial vaainosis leucocytes are decreased .11gtiold standard for diagnosis.deg Treatment : - Drug of choice : Metronidazoledeg 2g orally single dose or 500mg twice daily for 7 days or single dose i.e., 1 gm metronidazole orally. - Sexual partner should be treated simultaneously.deg - Alternative drugs are Tinidazole / Ornidazole / Poly oxyethylene suppository. - In pregnancy metronidazole shouldiaaavoided during 15' trimester.deg - Vinegar douche, Trichofuran suppository and betadine gel can be used in pregnancy.deg